Wound injury sequence of appearance of cells is:
1. Macrophage → Platelet → Neutrophils → Fibroblast
2. Neutrophils → Macrophages → Platelet → Fibroblast
3. Platelet → Neutrophils → Macrophages → Fibroblast
4. Platelet → Macrophages → Neutrophils →  Fibroblast

Correct answer: 3. Platelet → Neutrophils → Macrophages → Fibroblast